Coronary ligaments of the knee are:
1. Ligaments connecting the menisci to femur
2. Ligaments connecting the menisci to tibia
3. Ligaments connecting the anterior horns of both menisci
4. Ligaments connecting the lateral meniscus to capsule

Correct answer: 2. Ligaments connecting the menisci to tibia

Explanation: Coronary ligaments attach the outer border of the menisci with the tibial edge and restrict their movements. Ref: Anatomy of The Human Body By Henry Gray, 20th Edition, Chapter 3